Most common GI manifestation in HIV infection is -
1. Amebiasis
2. Cryptosoporidiosis
3. Giaridiasis
4. Hook Worm infestation

Correct answer: 2. Cryptosoporidiosis

Explanation: Chronic small bowel diarrhea may be due to HIV enteropathy.typically present with chronic watery diarrhea & wasting without fever.Infection with one of three unicellular organisms is responsible for most cases: cryptosporidiosis,mucrosporidiosis, isosporiasis. Reference: Harrison20th edition pg 789